Mineralization of the teeth begins at:
1. Crown and progresses towards root
2. Root and progresses towards crown
3. Simultaneously at root and crown
4. Begins in the center

Correct answer: 1. Crown and progresses towards root

Explanation: Ans. Crown and progresses towards root